Mid-day meal programme provides -
1. 1/2 of total calories & 1/2 of protein
2. 1/3 of total calories & 1/2 of protein
3. 1/2 of total calories & 1/3 of protein
4. 1/3 of total calories & 1/4 of protein

Correct answer: 2. 1/3 of total calories & 1/2 of protein

Explanation: Ans. is 'b' i.e., l/3rd of total calories & 1/2 of daily protein requirement * It is also known as 'School Lunch Programme\ It was launched in 1961 under Ministry of Education. The features of programme are :i) Meal should be a supplement and not a substitue to home diet.ii) The meal should supply at least 1/3 of total energy requirement and Vi of total protein requirement.* A model-menu of mid-day school meal is as follows:-A mid-day school mealFoodstuffsg/day/childCereals and millets75Pulses30Oils and fats8Leafy vegetables30Non-leafy vegetables30